Pupil is spared in:
1. Riley-Day syndrome
2. Disseminated sclerosis
3. Myasthenia gravis
4. Homer's syndrome

Correct answer: 3. Myasthenia gravis

Explanation: Ans. Myasthenia gravis